The lateral mesoderm is divided into two distinct layers by the formation of the
1. Extraembryonic coelom
2. Intraembryonic coelom
3. Cardiogenic region
4. Notochord

Correct answer: 2. Intraembryonic coelom

Explanation: The lateral mesoderm is a subdivision of intraembryonic mesoderm and initially is a solid plate of mesoderm. The intraembryonic coelom forms in the middle of the lateral mesoderm, thereby dividing it into the intraembryonic somatic mesoderm and intraembryonic visceral mesoderm.